Which of the following is largest branch of vertebral artey?
1. Posterior inferior cerebellar artery
2. Anterior spinal artery
3. Meningeal branches
4. None of the above

Correct answer: 1. Posterior inferior cerebellar artery

Explanation: The largest branch of the vertebral artery is the posterior inferior cerebellar artery. It arises near the lower end of the olive, which it curves back around, and then ascends behind the roots of the glossopharyngeal and vagus nerves to reach the inferior border of the pons. Here it curves and descends along the inferolateral border of the fourth ventricle before it turns laterally into the cerebellar vallecula between the hemispheres, and divides into medial and lateral branches.